Hemolysis in G–6 deficiency is precipitated by all of the  following except :
1. Dapsone
2. Cotrimoxazole
3. Quinine
4. Penicillin

Correct answer: 4. Penicillin